Chalazion of lid is -
1. Caseous necrosis
2. Chronic nonspecific inflammation
3. Chronic lipogranulomatous inflammation
4. Liposarcoma

Correct answer: 3. Chronic lipogranulomatous inflammation

Explanation: Tarsal or meibomian cyst is a chronic non infective granulomatous inflammation of meibomian gland. A Chalazion is a small, usually painless, lump or swelling that appears on your eyelid. A blocked meibomian or oil gland causes this condition. It can develop on the upper or lower eyelid Ref:Ak khurana 6th edition IMG REF